Measles vaccine at a primary health centre should be stored at which temperature ?
1. -20°C
2. 0°C
3. +2°C to 8°C
4. Any temperature not exceeding room temperature

Correct answer: 3. +2°C to 8°C